Most effective sterilizing agent
1. Hot air oven
2. Auto claving
3. Chemical disinfection
4. Incineration

Correct answer: 2. Auto claving